All of the following are given global prominence in the VISION 2020 goal, EXCEPT:
1. Onchocerciasis
2. Cataract
3. Glaucoma
4. Refractive errors

Correct answer: 3. Glaucoma

Explanation: Vision 2020: The Right to Sight Objective: It is a global initiative to eliminate avoidable blindness by the year 2020. Global target diseases include: Cataract, childhood blindness, trachoma, refractive errors & low vision & onchocerciasis. Ref: A K Khurana, 5th Edition, Page 205